Fundoscopic examination of a child shows salt and pepper appearance. He probably has:
1. Toxocara
2. Marfan's syndrome
3. Prenatal toxoplasma
4. Prenatal rubella

Correct answer: 4. Prenatal rubella

Explanation: Differential diagnosis of salt and pepper appearance of fundus: Prenatal rubella Prenatal influenza Varicella Mumps Congenital syphilis Ref: Comprehensive Ophthalmology by AK Khurana, 4th edition, Page 495.